Axial proptosis is produced by tumors lying in ?
1. Retrobulbar space
2. Subperiosteal space
3. Tenon space
4. Peripheral space

Correct answer: 1. Retrobulbar space

Explanation: Ans. is 'a' i.e., Retrobulbar space SURGICAL SPACES IN THE ORBIT These are of importance as most orbital pathologies tend to remain in the space in which they are formed. Therefore, their knowledge helps the surgeon in choosing the most direct surgical approach. Each orbit is divisible into four surgical spaces. 1. The subperiosteal space This is a potential space between the bone and the periorbita (periosteum). 2. The peripheral space It is bounded peripherally by the periorbita and internally by the four recti with thin intermuscular septa. Tumours present here produce eccentric proptosis and can usually be palpated. For peribulbar anaesthesia, injection is made in this space. 3. The central space It is also called muscular cone or retrobulbar space. It is bounded anteriorly by the Tenon's capsule lining back of the eyeball and peripherally by the four recti muscles and their intermuscular septa in the anterior part. In the posterior part, it becomes continuous with the peripheral space. Tumours lying here usually produce axial proptosis. Retrobulbar injections are made in this space. 4. Tenon's space It is a potential space around the eyeball between the sclera and the tenons capsule.